In Gradenigo's triad there is ____ palsy-
1. Oculomotor nerve
2. Trigeminal nerve
3. Abducent nerve
4. Facial nerve

Correct answer: 3. Abducent nerve

Explanation: retroorbital pain due to pain in the area supplied by the ophthalmic branch of the trigeminal nerve (fifth cranial nerve), abducens nerve palsy (sixth cranial nerve)and otitis media.